Gemcitabine is effective in:
1. Head and neck cancers
2. Pancreatic cancer
3. Small-cell lung cancer
4. Soft tissue sarcoma

Correct answer: 2. Pancreatic cancer

Explanation: Ans. (B) Pancreatic cancer(Ref: Katzung 10th/e p891, KDT 8th/e p924)Gemcitabine is an antimetabolite that is the drug of choice for pancreatic cancers.